MC side effect of DMPA is:-
1. Delayed return of fertility
2. High failure rate
3. Irregular cycles
4. Weight gain

Correct answer: 3. Irregular cycles

Explanation: MC side effect of DMPA is Disruptions of normal menstrual cycles ( most common) Depot Medroxy Progesterone Acetate ( DMPA) Is a progestogen only Injectable contraceptive ( Depot formulation ) Dose : 150 mg i/m every 3 months Advantage Highly effective Long lasting and reversible Does not affect lactation Side effects: Disruptions of normal menstrual cycles ( most common) Amenorrhea